How many superadded teeth appear in each jaw?
1. 2
2. 4
3. 6
4. 8

Correct answer: 3. 6

Explanation: An;. is 'c' i.e.,6 Temporary teeth, (milk teeth or deciduous teeth) start appearing at about 6 months, are 20 in number: being 4 incisors, 2 canines and 4 molars in each jaw. They start shedding at about 6 years, when permanent teeth start appearing.